In a city of 10000, Males : Females are 1 : 1. Sex ratio is:-
1. 1
2. 50
3. 5000
4. None of the above

Correct answer: 4. None of the above

Explanation: Sex Ratio = Females/ Males X 1000 1x/1x X1000 = 1000